The type of immunological reaction seen in endothelial corneal graft rejection is -
1. Type II
2. Type IV
3. Type III
4. Type I

Correct answer: 2. Type IV

Explanation: Harshmohan textbook of pathology 7th edition. Type 4 or delayed hypersensitivity is T cell mediated reaction. Egs are: reaction against mycobacterial infection, reaction against virally infected cells, reaction against malignant cells and reaction against organ transplantation. .